Felty syndrome is characterised by A/E
1. Rheumatoid arthritis
2. Splenomegaly
3. Neutropeni
4. Thrombocytopenia

Correct answer: 4. Thrombocytopenia

Explanation: Ans. is 'd' i.e., Thrombocytopenia Felty's syndrome is characterized by the combination of rheumatoid arthritis, splenomegaly and neutropenia. The condition is more common in those aged 50-70 years, and is more prevalent in females than males